What is the effect of beri beri on circulation ?
1. Hyperdynamic circulation
2. Hypovolemic shock
3. Bradycardia
4. Pulsus paradoxus

Correct answer: 1. Hyperdynamic circulation

Explanation: high output congestive heart failure occurs in beri beri ( Harrison 17 pg 442)